All of the following are secreted proenzyme form except :
1. Trypsin
2. Chymotrypsin
3. Pepsin
4. Ribonuclease

Correct answer: 4. Ribonuclease

Explanation: D i.e. Ribonuclease